Triple deformity of knee joint is seen in
1. Tuberculosis
2. Trauma
3. Malignant tumour
4. Sarcoidosis

Correct answer: 1. Tuberculosis

Explanation: TB KNEE has two stages. In late stage it shows TRIPLE DEFORMITY- Posterior Subluxation External Rotation Flexion Other condition showing triple deformity of knee-Rheumatoid Arthritis REF : MAHESWARI 9TH ED